Which of the following is a new drug recently approved for treatment of neovascular age related macular degeneration?
1. Brolucizumab
2. Istradefylline
3. Lefamulin
4. Upadacitinib

Correct answer: 1. Brolucizumab

Explanation: *Brolucizumab is a monoclonal antibody against VEGF. *It is recently approved for wet (neovascular) age related macular degeneration.* Istradefylline is adenosine A2 receptor antagonist. It is approved for off episodes in Parkinsonism* Lefamulin is a new antimicrobial that acts by inhibiting protein synthesis. It is approved for community acquired bacterial pneumonia.